A major factor determining the efficiency of bur is
1. Taper angle
2. Spiral angle
3. Head length
4. Head diameter

Correct answer: 2. Spiral angle